Ambulatory patients after a Disaster are categorized into ____ colour of Triage:
1. Red
2. Yellow
3. Green
4. Black

Correct answer: 3. Green

Explanation: Triage - Disaster categorization of victims 1. Red - Immediate Resuscitation 2. Yellow - possible resuscitation 3. Green - Minor injuries (Ambulatory) 4. Black - Dead/ moribund patient